Which of the following Inhalation anaesthesia agent is Hepatotoxic:
1. Sevoflurane
2. Isoflurane
3. Halothane
4. Procaine

Correct answer: 3. Halothane

Explanation: Side effects of inhalation anesthetics Halothane: Auto immune hepatitis Disrupts dual blood supply Respiratory depression Sevoflurane Produce Comp A (nephrotoxic) Day care surgery Inhalational induction agent of choice Pediatric population Isoflurane Coronary steel phenomenon Procaine Local anesthetic Used in cataract surgery